Teduglutide is used in small bowel syndrome because its action is similar to:
1. Pancreatic lipase
2. Biliary lipase
3. Glucagon like peptide 2
4. Somatostatin

Correct answer: 3. Glucagon like peptide 2

Explanation: Drug ending with GLUTIDES act as glucagon like peptide 2 (GLP 2) agonist Liraglutide: GLP 1 agonist Teduglutide: GLP 2 Agonist GLP agonist: -| Insulin, | Gastric Emptying Somatotropin is a large polypeptide that is released by the anterior pituitary in response to growth hormone (GH)-releasing hormone produced by the hypothalamus. Secretion of GH is inhibited by another hypothalamic hormone, somatostatin. GH is released in a pulsatile manner, with the highest levels occurring during sleep.